Prepyloric or channel ulcer in the stomach is termed as -
1. type 1
2. type 2
3. type 3
4. type 4

Correct answer: 3. type 3